The Weil-Felix reaction is:
1. Precipitation
2. Agglutination
3. CFT
4. Immunoasay

Correct answer: 2. Agglutination

Explanation: Agglutination